Lipids and proteins interact in membrane by
1. Hydrophobic interactions
2. Both hydrophobic and covalent interactions
3. Covalent bonds
4. H bonds

Correct answer: 1. Hydrophobic interactions

Explanation: The proteins and Lipid molecules are held together by the non covalent interactions such as Vanderwalls forces ( which holds the hydrophobic tails together ) and hydrogen bonding ( which binds the hydrophilic heads with water ) which help to stabilize the liquid bilayer structure